pH of sabarouds dextrose agar ?
1. 7.4
2. 7
3. 9.6
4. 5.6

Correct answer: 4. 5.6

Explanation: Ans. is 'd' i.e., 5-6 pH of sabouraud agar is 5-6 which inhibits bacterial growth and allow fungus to grow.